Taking off once clothes and running in public is called
1. Mooning
2. Exhibitionism
3. Voyeurism
4. Undinism

Correct answer: 2. Exhibitionism

Explanation: EXHIBITIONISM: An exhibitionist is one who, over a period of 6 months or more, experiences recurrent, intense sexually arousing urges or behaviors involving the exposure of one's genitals to an unsuspected stranger. It usually occurs before adulthood. It is done mostly by male, often to children or to the persons of the opposite sex. In some cases, the act is impulsive and spontaneous, while in other cases it is premediated. Occasionally women may expose themselves in public. Majority of them are psychopathic or suffer from compulsion neuroses. It is an obscene act, punishable under S.294, I.P.C. with imprisonment up to 3 months or fine. REF: THE SYNOPSIS OF FORENSIC MEDICINE AND TOXICOLOGY 29th edition page no: 227.